Which of the following thiazide can be used in severe renal failure?
1. Chlorthiazide
2. Metolazone
3. Trichloromethazide
4. Bendroflumethiazide

Correct answer: 2. Metolazone

Explanation: Thiazide diuretics can't be used in severe renal failure cases as they alter GFR. But Metolazone and Indapamide are the exceptions.